In which of the following condition, renin secretion is inhibited:
1. Cirrhosis
2. Exercise
3. Hypervolemia
4. Cardiac failure

Correct answer: 3. Hypervolemia

Explanation: Ans. C. HypervolemiaHypervolemia -renin secretion is inhibited, in all other cases like cirrhosis, exercise and cardiac failure renin secretion is rather increased.